Most reliable investigation in bladder rupture is
1. IVP
2. Cystoscopy
3. Retrograde cystogram
4. Catheterisation

Correct answer: 3. Retrograde cystogram